Which of the following feature of Conduct disorder is more commonly seen in boys in comparison to girls?
1. Run away from home
2. Emotional bullying
3. High risk sexual behavior
4. Physical aggression

Correct answer: 4. Physical aggression

Explanation: Physical aggression is more common in boys.
Relational aggression is more common in girls.